Hutchinson pupil is seen in which nerve palsy
1. Optic nerve
2. Occulomotor nerve
3. Abducent nerve
4. Trochlear nerve

Correct answer: 2. Occulomotor nerve

Explanation: Caused by compression of the third nerve. Hutchinson pupil is dilation of pupil in one eye when the other eye is contracted Hutchinson's pupil is a clinical sign in which the pupil on the side of an intracranial mass lesion is dilated and unreactive to light, due to compression of the oculomotor nerve on that side. The sign is named after Sir Jonathan Hutchinson Reference: Aravind FAQS in Ophthalmology; First Edition; Page no: 491